During exercise increase in 02 delivery to muscles is because of all except :
1. Oxygen dissociation curve shifts to left
2. Increased stroke volume
3. Increased extraction of oxygen from the blood
4. Increased blood flow to muscles

Correct answer: 1. Oxygen dissociation curve shifts to left

Explanation: A i.e. Oxygen dissociation curve shifts to left